False about the Plasmids is
1. Plasmids are extrachromosomal ds circular DNA
2. Essential for life
3. Capable of replicating independently
4. Curing is the process of eliminating Plasmids from bacteria.

Correct answer: 2. Essential for life

Explanation: Plasmids are not essential for life.